Which of the following statements is true regarding Pityriasis rubra pilaris – a) Isolated patches of normal skin are foundb) Cephalocaudal distributionc) I.V. cyclosporine is effectived) More common in femalese) Oral cyclosporine is effective
1. ab
2. c
3. ac
4. ad

Correct answer: 1. ab

Explanation: A characteristic feature of plaques of pityriasis rubra pilaris is the presence of distinct islands of normal skin.
Lesions on the trunk evolve in craniocaudal (cephalo caudal) direction.